Tectal breaking is seen in:
1. Dandy-walker malformation
2. Amold-chiari malformation
3. Aqueductal stenosis
4. Third ventricular tumor

Correct answer: 2. Amold-chiari malformation

Explanation: . Amold-chiari malformation